Most teratogenic in pregnancy
1. Phenytoin
2. Valproate
3. Barbiturate
4. Ethosuximide

Correct answer: 2. Valproate

Explanation: Valproate is the most teratogenic, phenytoin also isn't safe. Phenobarbitone, lamotrigine, topiramate are relatively safe drugs but 4mg folic acid is required per day. Ref: KD Tripathi 8th ed.